Fungal infections associated with AIDS patient are?
1. Pneumocystis carinii
2. Penicillium marneffei
3. Candida
4. All

Correct answer: 4. All

Explanation: Ans:D.)All. Common opportunistic infections in AIDS Protozoal Fungi Bacterial Viruses . Toxoplasma . Candida . MAC . CMV . Isospora belli . Cryptococcus . M. tuberculosis . Varicella - zoster . Cryptosporidium . Coccidiodes . Listeria . Herpes - Simplex . Histoplasma . Nocardia . Hepatitis B . P Carinii . Salmonella . Hepatitis C . Penicillum marneffei . Streptococcus . JC Virus . Adeno virus . Polyoma virus